Hypotonia with brisk tendon reflexes are seen in -
1. Hypotonic cerebral palsy
2. GB S
3. Spinal muscle atropy
4. Infantile tremor

Correct answer: 1. Hypotonic cerebral palsy